Prophylactic Chemotherapy is indicated after evacuation of H.Mole in all, Except:
1. Initial level of urine HCG is 40000 IU after 6 week of evacuation
2. Increase in HCG titre 24000 IU after 10 week of evacuation
3. Metastasis
4. Nulliparous lady

Correct answer: 4. Nulliparous lady